Which of the following drugs is associated with the untoward side effect of renal tubular damage?
1. Cisplatin
2. Streptozocin
3. Methysergide
4. Cyclophosphamide

Correct answer: 1. Cisplatin

Explanation: Cisplatin is a highly emetic and nephrotoxic agent.
Streptozocin causes the destruction of β-cells of the pancreas and may result in hyperglycemia.
Methysergide can cause retroperitoneal fibrosis on long-term use.
Cyclophosphamide can result in hemorrhagic cystitis.